Endolymph resembles
1. CSF
2. ICF
3. ECF
4. Plasma

Correct answer: 2. ICF

Explanation: PerilymphEndolymphBony labyrinthMembranous labyrinthFormed from CSFSecreted by stria vascularisResembles ECFResembles ICFNa+ richK+ richReabsorbed into subarachnoid spaceReabsorbed into endolymphatic sacRef: Hazarika; 3rd ed; Pg 24